Force between denture and saliva is?
1. Adhesive
2. Cohesive
3. Both
4. Intefacial tension

Correct answer: 1. Adhesive

Explanation: Force b/w like molecules = Cohesive force (like force within the thin film of saliva)
Force b/w unlike molecules = Adhesive force (like force b/w saliva & tissue or saliva & denture base)